Reye\'s Syndrome is cause by all except –
1. Adeno virus
2. RSV
3. Herpes
4. Influenza

Correct answer: 2. RSV